All the following are features of marasmus except
1. Good appetite
2. Less prone for infections
3. Edema
4. Recovers early

Correct answer: 3. Edema

Explanation: Differences between kwashiorkor and marasmus Clinical finding Marasmus Kwashiorkor Occurrence More common Less common Edema Absent Present Activity Active Apathetic Appetite Good Poor Liver enlargement Absent Present Mortality Less than kwashiorkor High in early stage Recovery Recover early Slow recovery Infections Less prone More prone Reference: Paediatrics; O.P Ghai; 8th edition; Page no: 99